All are features of hemolytic anemia, except ?
1. Hemoglobinuria
2. Jaundice
3. Increased haptoglobulin
4. Hemosiderinuria

Correct answer: 3. Increased haptoglobulin

Explanation: Ans. is 'c' i.e., Increase haptoglobulin